Not a cause of conjugated hyperbilirubinemia
1. Dubin Johnson syndrome
2. Rotor syndrome
3. Gilbert syndrome
4. Primary biliary Cirrhosis

Correct answer: 3. Gilbert syndrome

Explanation: Gilbert syndrome - Unconjugated hyperbilirubinemia.